The most heat sensitive vaccine is -
1. Measles
2. Hepatitis B
3. DPT
4. OPV

Correct answer: 4. OPV

Explanation: due to increasd sensitivity to heat,nowadays oral polio vaccines are available as stabilized vaccines.they can be kept at 4 degrees without losing its potency for a year.in case of non stabilized vaccines,t must be kept at -20 degrees till use.inorder to keep a check on heat induced damage to the vaccines,nowadays vaccine vial monitors are widely used.it has to be kept cold during transportation also by keeping on dry ice. ref:park's textbook,22 nd ed,pg 189